Which one is not poor prognostic factor for acute Pancreatitis -
1. Hyperglycemia
2. Hypocalcemia
3. Raised LDH level in blood
4. Hyperamylasemia

Correct answer: 4. Hyperamylasemia